All are used to treat hypercalcemia, EXCEPT :
1. D-penicillamine
2. Corticosteroid
3. Biphosphonate
4. Mithramycin

Correct answer: 1. D-penicillamine

Explanation: Ans. is ' a' D-penicillamine D-penicillamine has no role in the treatment of hypercalcemiaTreatment of hypercalcemia*Hydration with salineForced diuresis, saline plus loop diureticBiphosphonates - Etidronate and pamidronateCalcitoninSpecial used therapies are :Phosphates (Oral and Intravenous)GlucocorticoidsGallium nitratePlicamycinDialysis